Concentration of bleaching powder used for disinfection oi urine and faeces is
1. 5%
2. 10%
3. 15%
4. 20%

Correct answer: 1. 5%

Explanation: 108) Ans: a (5%) Ref: Park 20th ed pi 18Concentration of bleaching powder used for disinfection of faeces anc urine is 5%.Agents suitable for disinfection of faeces and urineDisinfectantAmount per literConcentrationBleaching powder50 g5%Crude phenol100 ml10%Cresol50 ml5%Fonnalin100ml10%